What function do vitamin B12 and folic acid perform that is critical to hematopoiesis?
1. Support porphyrin production
2. Serve as cofactors for iron uptake
3. Support terminal differentiation of erythroid and myeloid cells
4. Support production of thymidine triphosphate

Correct answer: 4. Support production of thymidine triphosphate

Explanation: Cell proliferation requires DNA replication, which requires an adequate supply of thymidine triphosphate. Both vitamin B12 and folate are needed to make thymidine triphosphate.